Rheumatoid factor is directed against
1. IgG
2. IgD
3. IgA
4. IgM

Correct answer: 1. IgG

Explanation: Rheumatoid factor is IgM directed against Fc portions of IgG